Inheritance of Beckers muscular dystrophy is?
1. X linked recessive
2. X linked dominant
3. Autosomal dominant
4. Autosomal recessive

Correct answer: 1. X linked recessive

Explanation: Beckers muscular dystrophy is X-linked recessive disorder. Diseases which are XR (X-linked recessive) : Color blindness Duchenne's Muscular Dystrophy Becker's Muscular Dystrophy Glucose-6-Phosphate Dehydrogenase deficiency(G6PD) Testicular Feminization Fragile X-Syndrome Hunter's Syndrome Fabry's disease Ornithine Transcarboxylase deficiency Lesch Nyhan syndrome Hemophilia A and B Agammaglobulinemia